Which of the following is not a micronutrient?
1. Iodine
2. Iron
3. Glucose
4. Boron

Correct answer: 3. Glucose

Explanation: If the daily requirement is more than 100 mg, they are called major elements or macrominerals. If the requirement of certain minerals is less than 100 mg/day, they are known as minor elements or microminerals or trace elements, micronutrients. Options A and B are micronutrients. Option D : Boron is still regarded as a possibly essential element with no proved significance. Reference : D M Vasudevan , 6th edition page 411